Treatment of congenital ptosis with poor elevation is
1. Levator resection
2. Frontalis sling
3. FS operation
4. None of the

Correct answer: 2. Frontalis sling

Explanation: Ans. is 'b' i.e., Frontalis sling Surgeries for ptosis Depending upon the LPS action, three main types of techniques are available. If levator action is good :- LPS is shortened, i.e, resection of LPS. The operations are Blaskovics operation, Everbusch operation and Fasanella - servat operation. Fasanella - servat operation is indicated in Homer syndrome. If LPS is paralysed Superior rectus muscle is used to lift the lid. The operation is called Motais operation. If both LPS and superior rectus are paralysed Frontalis sling/suspension operation (Hess's operation) is done. It is indicated in Marcus Gunn jaw winking syndrome, blepharophimosis syndrome, total 3rd nerve palsy, Aberrant regeneration of Yd nerve.